The only energy-requiring step in fatty acid oxidation is catalyzed by ______ enzyme?
1. Thiokinase
2. Acyl co A dehydrogenase
3. Thiolase
4. Beta hydroxy Acyl co A dehydrogenase

Correct answer: 1. Thiokinase

Explanation: In the presence of ATP and coenzyme A, the enzyme acyl-CoA synthetase (thiokinase) catalyzes the conversion of a fatty acid to acyl-CoA. Reference: Harper's Illustrated Biochemistry 30th Edition Pg 224